Which of the following is the exact mechanism of action of NO
1. Increase in cAMP
2. Increase in CGMP
3. Increase in PGE2
4. Increase in PGD4

Correct answer: 2. Increase in CGMP

Explanation: Nitric oxide is produced by nearly every type of cell in the human body and one of the most important molecules for blood vessel health. It's a vasodilator, meaning it relaxes the inner muscles of your blood vessels, causing the vessels to widen. In this way, nitric oxide increases blood flow and lowers blood pressure